All the following are causes of a painful limp except-
1. Slipped femoral epiphysis
2. TB of the hip
3. Perthes disease
4. Infantile Coxa Vara

Correct answer: 4. Infantile Coxa Vara

Explanation: Infantile (congenital) coxa vara causes painless limp.